Addison's disease typically
1. Causes hypertension
2. Causes hypopignientation
3. Is an autoimmune disease
4. Steroids are contraindicated

Correct answer: 3. Is an autoimmune disease